Vitamin E is
1. Anticoagulant
2. Coagulant
3. Antioxidant
4. Antiinflammatory

Correct answer: 3. Antioxidant

Explanation: The E vitamins consist of eight naturally occurring tocopherols, of which a-tocopherol is the most active (Figure 28.28).The primary function of vitamin E is as an antioxidant in prevention of the nonenzymic oxidation of cell components, for example, polyunsaturated fatty acids, by molecular oxygen and free radicalsRef: Lippincott, 5th edition, page no: 391